All are branches of Internal Iliac artery except
1. Ovarian artery
2. Superior vesical artery
3. Middle rectal artery
4. Inferior vesical artery

Correct answer: 1. Ovarian artery

Explanation: The branches of these divisions supply the pelvic viscera, the perineum, the pelvic walls, and the buttocks.Branches of the Anterior Division:Umbilical artery: From the proximal patent part of the umbilical artery arises the superior vesical artery, which supplies the upper portion of the bladder.Uterine artery: It ends by following the uterine tube laterally, where it anastomoses with the ovarian artery.Vaginal artery: This artery usually takes the place of the inferior vesical artery present in the male. It supplies the vagina and the base of the bladder.Obturator artery: This artery leaves the pelvis through the obturator canal.Inferior vesical artery: This artery supplies the base of the bladder and the prostate and seminal vesicles in the male; it also gives off the artery to the vas deferens.Branches of the Posterior DivisionIliolumbar arteryLateral sacral arteriesSuperior gluteal artery: This artery leaves the pelvis through the greater sciatic foramen above the piriformis muscle. It supplies the gluteal region.Ovarian artery arises from the abdominal aorta below the renal artery.